All of the following statement about pralidoxime in organophosphate poising are true except
1. It is given Intravenously
2. It should be started after 24 hrs. of poisoning
3. Does not cross blood brain barrier
4. Reactivates AchE enzyme

Correct answer: 2. It should be started after 24 hrs. of poisoning

Explanation: - Oximes are given for the reactivation of the inhibited Acetylcholinesterase in OPC poisoning - Two oximes which are used : * PAM (Pralidoxime) : does not cross blood brain barrier * DAM (Diacetyl mono-oxime) : crosses blood brain barrier, both central and peripheral action - Oximes should be started as soon as possible after atropine is given , if we take long time then enzyme aging may occur (enzyme cannot work)